Kuppuswami's classification is based on all except –
1. Income
2. Occupation
3. Education
4. Type of house

Correct answer: 4. Type of house

Explanation: Type of house is not included in this index
Residential address does form an index for socio economic status in another index by Holingshed in USA. This index includes three variables

Education
Occupation
Residential address